The formation of 25-hydroxycholecalciferol takes place in the -
1. Liver
2. Kidney
3. Intestines
4. Pancreas

Correct answer: 1. Liver